Which of the following dose not form a filtration barrier in nephrons
1. Podocytes
2. Mesangium
3. Endothelial cell
4. Basement membrane

Correct answer: 2. Mesangium

Explanation: Ans. (b) Mesangium(Ref: Ganong, 25th ed/p.677)Components of glomerular capillary membrane (filtering membrane) are,#Capillary endothelium#Glomerular basement membrane (GBM)#Visceral epithelial cells (podocytes)